An increase in LDH-5 enzyme is seen in the following except:
1. Malignancies of CNS
2. Muscular dystrophies
3. Breast carcinoma
4. Pulmonary embolism

Correct answer: 4. Pulmonary embolism

Explanation: Ans. D. Pulmonary embolismLactate dehydrogenase converts Pyruvic Acid to Lactic Acid. It has 5 Isoenzymes. Isoenzymes are the physically distinct forms of the same enzyme but catalyze the same reaction and differ from each other structurally, electrophoretically and immunologically. LDH-1 and LDH-2 rises in myocardial infarction and LDH-5 increases in liver diseases, breast carcinoma, prostate carcinoma and malignancies of CNS.TypePolypeptide ChainsElectrophoretic mobilityTissue rich in Isoenzyme typeLDH-1(H4 )Fastest movingFound in myocardium.LDH-2(H3 M) LDH-3(H2 M2 ) LDH-4(HM3 ) LDH-5(M4 )Slowest movingFound in Liver